All are the features of hemolytic anemia except:
1. Hemoglobinuria
2. Jaundice
3. Increased haptoglobin
4. Hemosiderinuria

Correct answer: 3. Increased haptoglobin

Explanation: Hemolytic anemia is characterized by a reduction in the free haptoglobin levels because the hemoglobin released by destruction of red cells binds to the serum haptoglobin decreasing its levels.